Power grip of hand is a function of
1. Long flexors
2. Short flexors
3. Palmaris brevis
4. Lumbricals

Correct answer: 1. Long flexors

Explanation: Power grip is by extrinsic muscles of hand which originate in the forearm and insert in the hand - Long flexors Precision grip is a function of the intrinsic muscles of hand which originate and insert in the hand. Ref: Gray's Anatomy The Anatomical Basics of Clinical Practice 41 e pg 860.